IV formula for burns is:-
1. Total % body surface area x weight x 4 = volume in ml
2. Total % body surface area x weight x 5 = volume in ml
3. Total % body surface area x weight x 6 = volume in ml
4. Total % body surface area x weight x 7 = volume in ml

Correct answer: 1. Total % body surface area x weight x 4 = volume in ml

Explanation: Parkland Formula for fluid replenishment in burn patient Total % body surface area x weight x 4 = volume in ml Half of the fluid is given in first 8 hours & other half in the next 16 hours.